An HIV patient complains of visual disturbances. Fundal examination shows bilateral retinal exudates and perivascular haemorrhges. Which of the following viruses are most likely to be responsible for this retinitis -
1. Herpes simplex
2. Varicella zoster
3. Cytomegalovirus
4. EBV

Correct answer: 3. Cytomegalovirus